A female, Lalita, aged 26 yrs accidentally takes 100 tablets of paracetamol. What is treatment of choice -
1. Lavage with charcoal
2. Dialysis
3. Alkaline diuresis
4. Acetyl cysteine

Correct answer: 4. Acetyl cysteine

Explanation: Gastric lavage and hemodialysis are used in paracetamol poisoning. But the treatment of choice is N-acetyl cysteine.